Henoch-Schonlein purpura is characterized by the deposition of the following immunoglobulin around the vessels:
1. IgM
2. IgG
3. IgA
4. IgE

Correct answer: 3. IgA

Explanation: c. IgA(Ref: Nelson's 20/e p 1216-1217, Ghai 8/e p 632-633)Biopsy finding in HSP is deposition of IgA, specifically lgA1 in the affected tissue, by immunofluorescence, accompanied to a lesser extent by deposition of C3, fibrin & IgM.